Most common cause of postpartum haemorrhage (PPH) is
1. Atonic uterus
2. Cervical tears
3. Episiotomy wound
4. Vaginal tears

Correct answer: 1. Atonic uterus

Explanation: Ans. a (Atonic uterus). (Ref. Textbook of Obstetrics by Dutta, 3rd ed., 424)*Most Common Cause Of Primary PPH is atonicity of the uterus (80%)*Most Common Cause Of secondary PPH is retained bits of cotyledon or membrane.RISK FACTORS FOR POSTPARTUM HEMORRHAGE# Multiple Gestations# Large baby# Polyhydramnios# Multiparity (particularly grand multiparity, more than 5 term pregnancies)# Prolonged labor (uterine inertia)# Labor augmented with Pitocin# General Anesthesia# Placenta Previa# Abruptio Placentae# Magnesium Sulfate infusion